Following factor increase formation of gall stones
1. Vagal stimulation
2. Octreotide
3. Low fat diet
4. Hypercholesterolemia

Correct answer: 2. Octreotide

Explanation: Ans. (b) OctreotideRef: Bailey 26th edition 1107Cholesterol Gall stones are predisposed by:* High fat diet* High calories intake* Obesity* High Cholesterol and Low Bile salts in Bile.* Drugs like Somatostatin analogues* Truncal vagotomy leading to Bile stasis* Ileal resection* Crohn disease* Short Bowel syndrome